Reactionary hemorrhage occurs within -
1. 1-2 days
2. 2-7 days
3. <24 hours
4. After 7 days

Correct answer: 3. <24 hours